Which of the following has been implicated due to sunlight
1. Basal cell carcinoma
2. Lymphoepithelioma
3. Junctional nevus
4. Verruca vulgaris

Correct answer: 1. Basal cell carcinoma